Females with orgasmic difficulties are advised following exercises to strengthen pubococcygealmuscles-
1. Kegel's exercises
2. Jacobson's stent on top
3. Keeping muscle up exercises
4. Johnsons exercises

Correct answer: 1. Kegel's exercises

Explanation: Ans. is 'a' i.e., Kegel's exercises o Kegels exercises are used to strengthen the pelvic floor muscles mainly pubococcygeal.o These exercises can thus be used to treat orgasmic difficulties and prevent genital prolapse.